Blood group antigen NAG transferase present but galactosyltransferase is absent in
1. Group A
2. Group B
3. Group AB
4. Group Q

Correct answer: 1. Group A

Explanation: A and B antigens are glycoproteins that differ in their terminal sugar.Under the influence of A or B genes, HAg is converted into A or B antigen. Individuals with A gene express A transferase that catalyzes placement of a terminal N-acetylgalactosamine on H antigen to form A antigen.Those with B gene express B transferases that place a terminal galactose on the H antigen to form B antigen. Type AB individuals have both transferases.Ref: Textbook of medical physiology by N Geetha, 3rd edition, page no. 134